Which of the following dietary interventions reduces the further risk in MI patients -
1. High fibre diet
2. Sterol esters
3. Potassium supplements
4. ω3 polyunsaturated fatty acids

Correct answer: 4. ω3 polyunsaturated fatty acids